The implant method of studying growth was proposed by:
1. Scammon
2. Borg
3. Belchier
4. Bjork

Correct answer: 4. Bjork